Fluctuating refractive errors with cataract are seen in-
1. Morgagnian cataract
2. Diabetic cataract
3. Intumescent cataract
4. Traumatic cataract

Correct answer: 2. Diabetic cataract

Explanation: As blood-sugar levels fluctuate, visual acuity and refractive error can chage, sometimes dramatically. Ref: Basics of vision 1st/e p.260.